The risk factors of acute pelvic inflammatory disease (PID) are the following except:
1. Menstruating teenagers who have multiple sex partners
2. IUD users
3. Women with monogamous partner who had vasectomy
4. Previous history of acute PID

Correct answer: 3. Women with monogamous partner who had vasectomy